Muscle relaxant used in renal failure :
1. Ketamine
2. Atracurium
3. Pancuronium
4. Fentanyl

Correct answer: 2. Atracurium

Explanation: B i.e. Atracurium